Most common mutation associated with male breast carcinoma is?
1. BRCA 1
2. p53
3. BRCA 2
4. CDH 1

Correct answer: 3. BRCA 2

Explanation: BRCA 2 mutation most common mutation in cases of breast carcinoma in males.